Cantrell pentalogy is associated with:
1. Omphalocele
2. Ileal atresia
3. Gastroschisis
4. None of the above

Correct answer: 1. Omphalocele

Explanation: Omphalocele refers to a congenital defect of the abdominal wall in which the bowel and solid viscera are covered by peritoneum and amniotic membrane. It occurs in association with special syndromes such as exstrophy of the cloaca (vesicointestinal fissure), the Beckwith-Wiedemann constellation of anomalies (macroglossia, macrosomia, hypoglycemia, visceromegaly, and omphalocele) and the Cantrell pentalogy (lower thoracic wall malformations such as cleft sternum, ectopia cordis, epigastric omphalocele, anterior midline diaphragmatic hernia, and cardiac anomalies). The defect may be very small or large enough that it contains most of the abdominal viscera. Ref: Schwartz's principle of surgery 9th edition, chapter 39.